Features of a benign tumour are all EXCEPT
1. Absence of hyperchromasia of nucleus
2. Retained basal polarity
3. Slow growth
4. Presence of local invasion

Correct answer: 4. Presence of local invasion